Seronegative spondarthritides includes all EXCEPT
1. Psoriatic arthritis
2. Ankylosing spondylitis
3. Reiter's syndrome
4. Rheumatoid arthritis

Correct answer: 4. Rheumatoid arthritis

Explanation: (Rheumatoid) (55-A)Seronegative spondyloarthropathies (SNSA) this concept of seronegative spondarthropathies was developed because of a common co-existence of both sacroilitis and ankylosing spondylitis, distinct pattern of peripheral arthritis, and their association with mucosal ulcers, inflammatory ocular disease, absence of rheumatoid factor and familial incidence* SNSA consist of a group of heterogenous but inter-related inflammatory arthropathies affecting the synovium and the enthesis leading to spinal and oligoarticular peripheral arthritis in genetically predisposed individuals HLA-B27 is strongly associated with these diseases. But the strength of the association varies markedly not only among the various spondyloarthropathies but also between various racial and ethnic group.Examples1. Ankylosing spondylitis2. Reiter's syndrome (RS) reactive arthritis (ReA)3. Psoriatic arthritis4. Arthropathies of inflammatory bowel disease5. Undifferentiated spondyloarthropathies6. Juvenile onset ankylosing spondylitis